Appendix of testes is remnant of ?
1. Mesonephric duct
2. Paramesonephric duct
3. paramesonephric tubule
4. Mesonephric tubule

Correct answer: 2. Paramesonephric duct

Explanation: Male's derivatives of paramesonephric duct (Mullerian duct) are :-i) Appendix of testis (Hydatid of morgagm).ii) Prostatic utricle.